Artery that does not supply Tonsil is
1. Lingual artery
2. Facial artery
3. Maxillary artery
4. Temporal artery

Correct answer: 4. Temporal artery